Dead tracts in ground section appears as
1. Dentinal tubules
2. Coarse fibril bundles arranged at right angle to the dentinal surface
3. Black in transmitted light and white in reflected light
4. White in transmitted light and dark in reflected light

Correct answer: 3. Black in transmitted light and white in reflected light